Therapeutic uses of a - adrenoreceptor blockers include all of the following except-
1. Hypertension
2. Anxiety
3. Peripheral vascular disease
4. Benign prostatic hypertrophy

Correct answer: 2. Anxiety

Explanation: Uses of a -blockers Uses of b -blockers *Pheochromocytoma *Hypertension *Secondary Shock *Peripheral vascular disease *Congestive heart failure *Benign prostatic hypertrophy *Migraine * Hypertension *Angina * Cardiac arrhythmias * Myocardial Infarction * Pheochromocytoma * Congestive Heart Failure *Anxiety * Dissecting aortic aneurysm * Essential tremor * Glaucoma * Hypertrophic cardiomyopathy * Thyrotoxicosis * Migraine